The electromyogram (EMG) is least useful for the diagnosis of -
1. Cerebral palsy
2. Spinal muscular atrophy
3. Charcot - Marie - Tooth disease
4. Myasthenia gravis

Correct answer: 1. Cerebral palsy